The deep perineal pouch contains -
1. Bulb of penis
2. Crura of penis
3. Bulbospongiosus
4. Membranous urethra

Correct answer: 4. Membranous urethra

Explanation: Membranous urethra is a content of deep perineal space.